Strip crowns are indicated in pediatric patients with
1. Extensive caries in anterior teeth
2. Extensive caries in posterior teeth
3. Ellis class I fracture
4. Grossly destructed anterior teeth

Correct answer: 1. Extensive caries in anterior teeth